The right coronary artery arises from ?
1. anterior aortic sinus
2. left posterior aortic sinus
3. right posterior aortic sinus
4. inter aortic sinus

Correct answer: 1. anterior aortic sinus

Explanation: Right coronary artery is smaller than the left coronary artery. It arises from the anterior aortic sinus. Left coronary artery is larger than the right coronary artery. It arises from the left posterior aortic sinus. REF : B D Chaurasia's Human Anatomy , seventh edition , volume 2 , pg.no., 278, 279. FIG REF : B D Chaurasia's Human Anatomy , seventh edition , volume 2 , pg.no., 278, 279. ( fig 18.22a and b ).